Drug of choice for prophylaxis of mania is ?
1. Lithium
2. Haloperidol
3. Clozapine
4. Carbamazepine

Correct answer: 1. Lithium

Explanation: Ans. is 'a' i.e., Lithium